Most common soft tissue tumor in a child -
1. Rhabdomyosarcoma
2. Histiocytoma
3. Fibrosarcoma
4. Liposarcoma

Correct answer: 1. Rhabdomyosarcoma

Explanation: Rhabdomyosarcoma, the most common childhood soft-tissue sarcoma, is often located in the head & neck (40%) and in the trunk & extremities (25%).